Which among the following is not a saturated fatty acid?
1. Myristic acid
2. Stearic acid
3. Palmitic acid
4. Linoleic acid

Correct answer: 4. Linoleic acid

Explanation: Ans: d (Linoleic acid) Ref: Vasudevan 4th ed/ p.73Linoleic acid is an unsaturated fatty acid.Saturated fatty acidsAceticPropionicButyricValericCaproicCapricUnsaturated fatty acids:PalmitoleicOleicElaidicLinoleicArachidonic